The hyperkinetic features of the Huntington's disease are due to the loss of:
1. Nigrostriatal dopaminergic system
2. Intrastriatal cholinergic system
3. Subthalamic neurons
4. Intrastriatal GABA-ergic and cholinergic system

Correct answer: 4. Intrastriatal GABA-ergic and cholinergic system

Explanation: Corpus striatum sends inhibitory input to globus pallidus (external); globus pallidus is reciprocally connected with subthalamic nucleus. In Huntington's disease there is loss of (inhibitory) GABAergic and cholinergic neurons of the striatum. Loss of dopaminergic neurons in the nigrostriatal tract will lead to Parkinson's disease. Huntington's disease is a trinucleotide repeat disorder with multiple CAG repeats.